Primary complex in Liver in Congenital tuberculosis occurs through
1. Lymphatic Spread
2. Haematogenous Spread
3. Aspiration of Infected Amniotic fluid
4. Ingestion of Infected Amniotic Fluid

Correct answer: 2. Haematogenous Spread

Explanation: Answer is B (Haematogenous Spread): Primary Complex in Liver in cases of Congenital Tuberculosis occurs when infection enters the fetus through the umbilical veins (Trans-placental; Haematogenous Infection). Liver is the most common Primary site of infection in Congenital Tuberculosis caused by Trans placental or Haematogenous route Lung is the most common Primary site of infection in Congenital Tuberculosis caused by aspiration of infected amniotic fluid Gastrointestinal Tract is the most common Primary site of infection in Congenital Tuberculosis caused by ingestion of infected amniotic fluid Since Lungs are eventually involved in most cases of congenital tuberculosis where Liver is the primary site of infection, Lungs are overall the most commonly involved sites in Congenital Tuberculosis